"Risk ratio" is utilized to calculate the-
1. Relative risk
2. Attribute risk
3. Population controlled trial
4. Odds ratio

Correct answer: 1. Relative risk

Explanation: Relative risk is the ratio of the incidence among exposed and the incidence among non exposed. In the example, RR of lung cancer = 10/1 = 10 Some authors use the term risk ratio to refer to relative risk. The larger the relative risk the greater the strength of association between the suspected factor and disease Ref: 25th edition, Park's Textbook of Preventive and Social Medicine, Page no. 86